In achalasia cardia, true is -
1. Pressure at distal end increased with no peristalsis
2. Low pressure at LES with no peristalsis
3. Pressure > 50 mm Hg with peristalsis
4. Pressure at the distal end increased with normal relaxation

Correct answer: 1. Pressure at distal end increased with no peristalsis

Explanation: The pressure is elevated at LES with incomplete relaxation on deglutition. The normal pressure of LES is 13.8 ±4.6 of Hg. In Achlasia it increases to twice normal.

Also know

Hypertensive Lower esophageal sphincter

is another motor disorder distinct from Achalsia
here the LES pressure is elevated but it relaxes normally. Peristalsis in the esophageal body is also normal.